A 6-year-old boy came to hospital with complaints of sore throat and difficulty in swallowing, his left tonsil was pushed medially and had swelling over left side upper part of neck. What will be the diagnosis?
1. Peritonsillar abscess
2. Retropharyngeal abscess
3. Ludwig's angina
4. Parapharyngeal abscess

Correct answer: 4. Parapharyngeal abscess

Explanation: Parapharyngeal abscess presents with: Trismus due to spasm of medial pterygoid Tonsils pushed medially Swelling in upper part of sternocleidomastoid(space limited to the level of hyoid bone) Retropharyngeal abscess presents as bulge in posterior pharyngeal wall on one side of midline. Peritonsillar abscess does not produce swelling in the upper 1/3rd of sternocleidomastoid. In Ludwig's angina tonsils are not pushed medially. EXTRA EDGE: SPACES IN RELATION TO PHARYNX WHERE ABSCESS CAN FORM.